What is rhinophyma:
1. Hypertrophy of sweat glands
2. Hypertrophy of sebaceous glands
3. Hypertrophy of meibomian glands
4. Hypertrophy of lacrimal gland

Correct answer: 2. Hypertrophy of sebaceous glands

Explanation: Ans. B: Hypertrophy of sebaceous glands Rhinophyma is a slowly progressive condition due to hypertrophy of the sebaceous glands of the tip of nose often seen in cases of long-standing acne rosacea; it is not a neoplasm. It presents as a pink, lobulated mass over the nose with superficial vascular dilation; it mostly affects men past middle age.